Long term use of which of the following drug results in pseudolymphoma ?
1. Valproate
2. lamotrigene
3. Phenytoin
4. Topiramate

Correct answer: 3. Phenytoin

Explanation: Pseudolymphoma It is a hypersensitive reaction to drug Pseudolymphoma triad consists of Fever, generalized rash and lymphadenopathy Anti epileptic drugs causing pseudolymphoma Phenytoin>Phenobarbitone>Primidone Carbamzepine